Jefferson's fracture is a fracture of the following vertebra:
1. C 1
2. C 2
3. T 1
4. None of the above

Correct answer: 1. C 1

Explanation: Jefferson fracture is a bursting fracture of the ring of C1 (the atlas) due to compression forces. There are usually two or more fractures through the ring of C1. The open-mouth odontoid view may show lateral dislocation of the lateral masses of C1. The rule of Spence states that 7 mm or greater combined dislocation indicates disruption of the transverse ligament. The transverse ligament stabilizes C1 with respect to C2. Jefferson fractures dislocated Ref: Schwartz's principle of surgery 9th edition, chapter 42.